Which amino acid is deficient in pulses:
1. Lysine
2. Threonine
3. Methionine
4. Cysteine

Correct answer: 3. Methionine

Explanation: Ans. (c) MethionineRef K. Park 23rded. i628* Pulses protein are poor in methionine and to a lesser extent in cysteine.* Since option C and D both are correct, we have to choose single best answer and that will be Methionine. Literatures clearly states that cysteine is deficient only up to a lesser extent.